The receptor through which M-tropic HIV strains bind
1. CCR5
2. CXCR4
3. CXCR5
4. Any of the above

Correct answer: 1. CCR5